An infant presents with bilateral white pupillary reflex. On slit lamp examination a zone of opacity is observed around the fetal nucleus with spoke like radial opacities. The most likely diagnosis is:
1. Cataracto Centralis Pulverulenta
2. Lamellar cataract
3. Coronary cataract
4. Posterior polar cataract

Correct answer: 2. Lamellar cataract

Explanation: B i.e. Lamellar cataract